Main intervention in primordial prevention ?
1. Immunization
2. Education
3. Screening
4. Chemoprophylaxis

Correct answer: 2. Education

Explanation: Ans. is 'b' i.e., Education o The main intervention in primordial prevention is through individual and mass education.